Which of the following are risk factors for Angiosarcoma
1. Polyvinylchloride
2. Arsenic
3. Thorotrast
4. All of the above

Correct answer: 4. All of the above

Explanation: Option A, B, C are all risk factors for Angiosarcoma.